Thrombomodulin-thrombin complex prevents clotting because
1. Thrombomodulin inhibits prothrombin activator
2. Thrombomodulin-thrombin complex activities anti-thrombin III
3. The binding of thrombomodulin with thrombin removes thrombin and also activities a plasma protein C which inactivates activated factors V & VIII
4. Thrombomodulin-thrombin complex activates heparin

Correct answer: 3. The binding of thrombomodulin with thrombin removes thrombin and also activities a plasma protein C which inactivates activated factors V & VIII

Explanation: The endothelium of the blood vessels also plays an active role in preventing the extension of clots. All endothelial cells except those in the cerebral microcirculation produce thrombomodulin, a thrombin-binding protein, on their surfaces. In circulating blood, thrombin is a procoagulant that activates factors V and VIII, but when it binds to thrombomodulin, it becomes an anticoagulant in that the thrombomodulin-thrombin complex activates protein C. Activated protein C (APC), along with its cofactor protein S, inactivates factors V and VIII and inactivates an inhibitor of tissue plasminogen activator, increasing the formation of plasmin.Ref: Ganong's Review of medical physiology 25th edition. Page: 565